All the following are characteristics if CD4 cell count drops below 100 cells in AIDS, EXCEPT:
1. Non Hodgkin Lymphoma
2. Persistant generalized lymphadenopathy
3. Cryptococcal meningitis
4. CNS toxoplasmosis

Correct answer: 2. Persistant generalized lymphadenopathy